6. Cause of acidic pH of vagina is due to?
1. Doderlein Bacilli
2. Gardnerella
3. Mobilincus
4. Glycogen

Correct answer: 1. Doderlein Bacilli

Explanation: Ans. (a) Doderlein BacilliRef: Shaw 13thed p. 125, Novak's Gynecology 12th ed p-192, Jeff coate 7ed p-27